Loss of heterozygosity associated with
1. Acute myeloid leukemia
2. ALL
3. Retinoblastoma
4. Promyelocytic leukaemia

Correct answer: 3. Retinoblastoma

Explanation: Ref Robbins 9/e p292_293 familial case of retinoblastoma 1 defective and 1 normal gene at birth (heterozygous) second mutation causes both genes to be defective loss of heterozygosity Increased chances of cancer sporadic case of retinoblastoma both normal gene at birth _ homogeneous normal genes Both mutations occur somatic Ally within a single cell (homozygous abnormal genes ) increased chances of cancer